Which of the following is the site of malignant transformation of melanocytes in melanoma?
1. Junctional melanocytes
2. Epidermal cells
3. Basal cells
4. Follicular cells

Correct answer: 1. Junctional melanocytes

Explanation: Melanoma results from the malignant transformation of melanocytes usually located at the dermal-epidermal junction. Melanoma confined to the epidermis is termed melanoma in situ, which is theoretically 100% curable. With time, the melanoma invades vertically into the dermis where it can metastasize to the regional lymph nodes and/or other distant visceral organ systems the lymphatic or vascular systems. Ref: Ludgate M.W., Wang T.S. (2009). Chapter 100. Skin Cancer. In J.B. Halter, J.G. Ouslander, M.E. Tinetti, S. Studenski, K.P. High, S. Asthana (Eds), Hazzard's Geriatric Medicine and Gerontology, 6e.